The first country in the South East Asian Region (SEAR) to report AIDS was
1. Sri Lanka
2. India
3. Bangladesh
4. Thailand

Correct answer: 4. Thailand

Explanation: First case of HIV reported:

USA: 1981
Thailand: 1984
India: 1986
Sri Lanka: 1987
Bangladesh: 1989